Winslow's test was once used to detect the stoppage of :
1. Brain function
2. Liver function
3. Respiration
4. Circulation

Correct answer: 3. Respiration

Explanation: WINSLOW TEST- It involves keeping a small pot containing water or mercury over the thoraco-abdominal region (just at or below xiphisternum).- A ray of light was allowed to fall over the liquid. If the respiration was taking place, the ray of light (over the surface of the liquid) would appear to move.